The following statements are true about Intrauterine devices (IUD) except:
1. Multiload Cu-375 is a third generation IUD
2. The pregnancy rate of Lippes loop and Cu-T 200 are similar
3. IUD can be used for Emergency Contraception within 5 days
4. Levonorgestrel releasing IUD has an effective life of 5 years.

Correct answer: 1. Multiload Cu-375 is a third generation IUD

Explanation: Copper containing devices are second generation IUCDs. IUCD Example 1st Generation Lippe's Loop(Inert) 2nd Generation Copper Devices (copper 7, Multiload) Most Commonly Used 3rd Generation Progesterone Containing IUD (progestasert, mirena) 4th Generation frameless (gynaefix)